Nail patella syndrome is characterized by -a) Iliac hornb) Sacral hornc) Absent patellad) Knee deformitye) Dislocation of patella
1. bce
2. bde
3. acde
4. abde

Correct answer: 3. acde

Explanation: The disease is characterized by :-


Unduly small or absent patella
Nail dysplasia (nail dystrophy) most commonly in thumbnail
Recurrent dislocation of patella
Postero-lateral subluxation of radial head
Bony excrescences on lateral aspect of the ileum, i.e. iliac horns.
Genu valgum
Congenital nephropathy